Zinc is an essential component of the following enzymes except
1. Carbonic anhydrase
2. Alkaline phosphate
3. Xanthine oxidase
4. Ethanol dehydrogenase

Correct answer: 3. Xanthine oxidase

Explanation: Xanthine oxidase and aldehyde oxidase contain molybdoprotein, a substituted pterin to which molybdenum is bound by two sulfur atoms. Mo deficiency causes depression of xanthine oxidase activity, increased excretion of xanthine and decreased uric acid excretion.Ref: DM Vasudevan, page no: 430